Celiac vessel is seen at which vertebral level?
1. T9
2. T10
3. T12
4. L2

Correct answer: 3. T12

Explanation: Celiac trunk arises from abdominal aorta at the level of T12 vertebra. It supplies foregut derivatives. Branches of celiac trunk: Left gastric artery Splenic artery Common hepatic artery